All of the following are true about abdominal compartment syndrome except:
1. Characterized by a increased peak inspiratory pressure, decreased urinary output
2. Can lead to fatal complications due to pulmonary failure and mesenteric vascular compromise
3. A urinary bladder catheter is the gold standard indirect method used to measure IAP
4. Grade III abdominal compartment syndrome is managed by hypovolemic resuscitation

Correct answer: 4. Grade III abdominal compartment syndrome is managed by hypovolemic resuscitation

Explanation: ABDOMINAL COMPARTMENT SYNDOME - ACS is defined as increased intra-abdominal pressure (IAP > 20mm Hg) resulting in compression of abdominal structures, producing fatal complications due to pulmonary failure and mesenteric vascular compromise. - Normal IAP = 5-7 mm Hg: intra-abdominal hypertension IAP >= 12 mm Hg - ACS occurs predominantly in: - Patients in profound shock: - Patients requiring large amounts of resuscitation fluids & blood - Those with major visceral or vascular abdominal injuries -IVC compresed -Decreased Venous return- Decrease Cardiac Output - Decrease systolic blood pressure - Decrease renal blood flow & vascular blood flow - decrease GFR - decrease urine output. Physiologic consequences of increased intra-abdominal Pressure Decreased Increased - Cardiac output - Central venous return - Visceral blood flow - Renal blood flow - Glomerular filtration - Cardiac rate - Pulmonary capillary wedge pressure - Peak inspiratory pressure - Central venous pressure - Intrapleural pressure - Systemic vascular resistance Abdominal Compartment syndrome grading system Grade Bladder pressure (mm Hg) Clinical features Treatment I 12-15 None Normovolemic resuscitation II 16-20 Oliguria, splanchnic hypoperfusion Hypovolemic resuscitation III 21-25 Anuria, increased ventilation pressure Decompression IV > 25 Anuria, increased ventilation pressure & decreased PO2 Emergency re-exploration